The commonest site of contrecoup fracture in an occipital fall is
1. Parietal bone
2. Temporal bone
3. Orbital roof
4. Ethmoidal bone

Correct answer: 3. Orbital roof

Explanation: MC site for contrecoup injury is the Frontal lobes (tips of the frontal poles/orbital surface) and may be symmetrical, if a person falls on the occiput. In temporal or parietal impacts, the contrecoup lesions are usually on the contralateral surface ofthe brain. It is rare for a fall on the frontal region to produce occipital contrecoup. This is thought to be due to theanatomical configuration of the floor of the cranium.